Type I thyroplasty is for:
1. Vocal cord medialisation
2. Vocal cord lateralisation
3. Vocal cord shortening
4. Vocal cord lengthening

Correct answer: 1. Vocal cord medialisation

Explanation: Thyroplasty is a procedure in which changes are brought in the position of vocal cord.It is divided into four types:Type I: Vocal cord is displaced medially. It is done for paralysed cord so that it can make contact w ith the healthy cord for voice production.Type II: Vocal cord is displaced laterally. The purpose is to provide airway. It is done in long-standing bilateral abductor paralysis where cords lie in paramedian position compromising the airway.Type III: Vocal cord is shortened in length, i.e. it is relaxed. The distance between anterior and posterior ends of vocal cord lowers the pitch. It is done in pubcrphonia in which child-like high pilch voice persists or is done in cases who have undergone gender transformation from female to male.Type IV: It is the procedure to lengthen (or tighten) the vocal cord. A tightened cord produces higher pitch. Thus male character voice (low pitch) is converted to female character (higher pitch). It is used for patients who have undergone sex change from male to female.